Sausage digits is seen in
1. Lyme disease
2. Osteoahirits
3. Psoriatic arthiritis
4. None

Correct answer: 3. Psoriatic arthiritis

Explanation: Wright and Moll classification for psoriatic arthropathyClassic involvement of DIP and PIP joints (erosion of terminal tufts - Acro osteolysis with associated changes in nail bed)Arthritis Mutilans (opera glass deformity)pencil in cup deformitySymmetrical polyarthritisAsymmetric oligoarthritis (sausage like digits) Spondyloarthropathy(Refer: Mohindra's Fundamentals of Orthopedics, 2nd edition, pg no. 418, 426, 432)